All of the following are true statements about Cockayne syndrome, EXCEPT
1. Defective transcription-coupled repair
2. Photosensitivity
3. Increased risk of cancer
4. Intellectual disability

Correct answer: 3. Increased risk of cancer

Explanation: Cockayne syndrome: Defect in transcription coupled nucleotide excision repair. C/F : failure to thrive, microcephaly, hearing loss, nervous system anomalies, photosensitivity. Patients are not predisposed to cancer.